Sensory supply of tongue is by all except?
1. 7th Cranial nerve
2. 5th Cranial nerve
3. 8th Cranial nerve
4. 9th Cranial nerve

Correct answer: 3. 8th Cranial nerve

Explanation: Ans. C. 8th Cranial nerveInnervation of taste and sensation is different for the anterior and posterior part of the tongue because they are derived from different embryological structures (pharyngeal arch 1 and pharyngeal arches 3 and 4, respectively).a. Anterior two thirds of tongueTaste: chorda tympani branch of the facial nerve (CNVII)Sensation: lingual branch of the mandibular (V3 ) division of the trigeminal nerve (CNV)b. Posterior one third of tongue:Taste and sensation: glossopharyngeal nerve (CNIX)c. Base of tongueTaste and sensation: vagus nerve (CNX)